FSH secretion is stimulated by :
1. LHRH
2. TRH
3. Testosterone
4. Estradiol

Correct answer: 1. LHRH

Explanation: LHRH